Which is not found in DNA:
1. Adenine
2. Thymine
3. Guanine
4. Uracil

Correct answer: 4. Uracil

Explanation: D i.e. Uracil